A twenty years old woman has been brought to casualty with history of acute pain in abdomen and bleeding per vaginum since 6 hrs . On examination, she is drowsy BP is 70/40 mm Hg, pulse rate 120/min. and a positive urine pregnancy test. She should be managed by :-
1. Immediate laparotomy
2. Laparoscopy
3. Culdocentesis
4. Resuscitation followed by Medical management

Correct answer: 1. Immediate laparotomy

Explanation: The above history is suggestive of Ruptured ectopic. The management of this case is immediate laparotomy Laparoscopy should be employed only when the patient is hemodynamically stable